Enzyme replacement therapy is available for which of the following disorders?
1. Gaucher disease
2. Niemann Pick disease
3. Mucolipidosis
4. Metachromatic leukodystrophy

Correct answer: 1. Gaucher disease

Explanation: Ans. is 'a' i.e. Gaucher disease The t/t of choice for Gaucher's disease is enzyme replacement therapy. A recombinantly produced mannose terminated enzyme called cerezyme is used in the t/t of Gaucher's disease